Tadalafil inhibits
1. PDE - 3
2. PDE - 4
3. PDE - 5
4. PDE - 6

Correct answer: 3. PDE - 5

Explanation: Tadalafil & Sildenafil inhibits Phosphodiesterase - 5 (PDE -5) and increase cGMP, They are used in pulmonary hypertension & erectile dysfunction.